Which of the following statement is TRUE about iron response element?
1. Stem loop structure in the messenger RNA
2. Located at the 5' untranslated region(UTR) of transferrin mRNA
3. Located at the 3' untranslated region(UTR) of ferritin mRNA
4. IRE-binding protein causes degradation of IRE

Correct answer: 1. Stem loop structure in the messenger RNA

Explanation: mRNAs of ferritin and tfR 1 contain a stem-loop structure known as Iron Response Element (IRE). IRE of ferritin mRNA is located at its 5' UTR. (Ferritin ->Five) - option c is wrong IRE of transferrin receptor is located at its 3'UTR. (TfR ->Three) - option b s wrong. IRP-IRE interaction prevents the translation of ferritin mRNA. IRP-IRE interaction stabilises the mRNA of transferrin receptor-more intracellular iron absorption.- option d is wrong.